Injury to which of the following structure can cause damage to lacrimal secretion:-
1. Ciliary ganglion
2. Pterygopalatine ganglion
3. Optic nerve
4. Oculomotor nerve

Correct answer: 2. Pterygopalatine ganglion

Explanation: Damage to Pterygopalatine ganglion can cause damage to lacrimal secretion Nerve Supply of Lacrimal Gland Sensory Supply: lacrimal nerve Sympathetic supply: Carotid plexus of cervical sympathetic chain Secretomotor fibres: Salivary nucleus -----> greater petrosal nerve ----> synapse at pterygopalatine ganglion ----> zygomatic nerve ----> lacrimal nerve-----> lacrimal gland